Bassini's repair for hernia is done for
1. Inguinal hernia
2. Femoral hernia
3. Spigelion hernia
4. Epigostric hernia

Correct answer: 1. Inguinal hernia